Vi antigen found in -
1. Salmonella paratyphi 'C'
2. Salmonella Typhi
3. Salmonella dublin
4. All

Correct answer: 4. All

Explanation: Ans :D.)All The Vi antigen, is a capsular polysaccharide found mainly in Salmonella typhi and S. paratyphi C, as well as in a few strains of S. dublin and Citrobacter freundii